Which of the following cells is the germ cell closest to the basal lamina in the seminiferous tubule?
1. Primary spermatocyte
2. Secondary spermatocyte
3. Spermatid
4. Spermatogonia

Correct answer: 4. Spermatogonia

Explanation: Maturation of germ cells (spermatogenesis) within the seminiferous tubules occurs in a concentric pattern, with the less mature spermatogonia near the basal lamina and the mature forms near the tubuleft center.